Selective alpha 2 agoinst used in glaucoma ?
1. Tirriolol
2. Epinephrine
3. Dipivefrine
4. Brimonidine

Correct answer: 4. Brimonidine

Explanation: Ans. is 'd' i.e., Brimonidine